Niemann-Pick disease occurs due to a defect in
1. Ceramidase
2. Sphinogomyelinase
3. Phospholipase C
4. b - galactosidase

Correct answer: 2. Sphinogomyelinase

Explanation: DiseaseEnzyme DeficiencyClinical SymptomsNiemann-Pick diseaseSphingomyelinaseEnlarged liver and spleen, intellectual disability;fatal in early lifeRef: Harper's Biochemistry; 30th edition; Chapter 24 Metabolism of Acylglycerols & Sphingolipids